Prognosis in head injury is best given by
1. Glasgow coma scale
2. Age of patient
3. Mode of injury
4. CT head

Correct answer: 1. Glasgow coma scale

Explanation: Ans. is 'a' i.e. Glasgow coma scale Glasgow coma scale is used to determine the conscious level of the patientIt is based on EVM i.e. Eye Opening, Verbal response & Motor responseA) Eye openingB) Verbal responseC) Motor responseSpontaneous - 4 To Voice - 3 To pain - 2 None - 01Oriented - 5 Confused - 4 Inappropriate words - 3 Incomprehensible sound - 2 None -1Obeys commands - 6 Localises pain - 5 Withdraws (pain) - 4 Flexion (pain) - 3 Extension (pain) - 2 None - 1Ranges from 3 to 15.A score of 7 or less is classed as comaA score of 9 or more excludes coma